Major dopaminergic pathway is
1. Nigrostriate pathway
2. Mamillothalamic tract
3. Thalamo cortical relays
4. Cerebral association fibres

Correct answer: 1. Nigrostriate pathway

Explanation: (A) Nigrostriate pathviay> The long dopamine systems are the nigrostriatal system, which projects from the substantia nigra to the striatum and is involved in Motor control.